Hartnup's disease is associated with increased urinary excretion of:
1. Tryptophan
2. Ornithine
3. Glycine
4. Cystine

Correct answer: 1. Tryptophan

Explanation: Hartnup's disease is characterized by low plasma levels of tryptophan and other neutral amino acids and their elevated urinary excretion